Which of the following drug is safe for cardiovascular patient who experience an acute attack of asthma?
1. Ipratropium
2. Salbutamol
3. Terbutaline
4. Formoterol

Correct answer: 1. Ipratropium

Explanation: Ans. A. IpratropiumInhaled beta 2 agonist are the drug of choice for terminating the acute attack of asthma. But a patient suffering from heart disease, there receptors are blocked. So the alternative treatment for acute attack can be anticholinergic or methylxanthine.